Large breast is Not seen in -
1. Filariasis
2. Giant fibroadenoma
3. Cystosarcoma phylloides
4. Schirrhous carcinoma

Correct answer: 4. Schirrhous carcinoma